Not true regarding atropine
1. Used as an eye ointment
2. Used in refraction in less than 5 yr of children
3. Fast action
4. Experimentally used in treatment of myopia

Correct answer: 3. Fast action

Explanation: Atropine is slow acting and not fast acting ATROPINE( antimuscranic) causes cycloplegia as ciliary muscles are supplied by Parasympthetic sytem short ciliary nerve , branch of 3rd cranial nerve Used as eye ointment Children < 5 yr, Children with Squint slow action Three times for 3 days Peak Effect- 3 Days Complete cycloplegia, but less potent mydriasis Retinoscopy - 3 Days PMT - 14 Days Tonus - 1 D experimentally used in treatment of myopia. Homatropine=> 5 yr